Which of the following is not a part of HELLP syndrome?
1. Hemolysis
2. Elevated liver enzymes
3. Thrombocytopenia
4. Retroplacental hemorrhage

Correct answer: 4. Retroplacental hemorrhage

Explanation: HELLP syndrome was first described by Weinstein and is considered a variant of severe preeclampsia,comprising of Haemolysis,Elevated liver enzymes,and a low platelet count.It is found in 10% of pregnancies complicated by severe preeclampsia.The most common symptom is epigastric or right upper quadrant pain,nausea and vomiting. TEXT BOOK OF OBSTETRICS,Sheila Balakrishnan,2nd edition,page no.259